Absolute indication for cesarean section:
1. Previous uterine scar
2. Transverse lie
3. Breech
4. Vaginal Atresia

Correct answer: 4. Vaginal Atresia

Explanation: Vaginal Atresia